Depression of the protruded mandible is done by:
1. Lateral pterygoid
2. Masseter
3. Temporalis
4. Medial pterygoid

Correct answer: 1. Lateral pterygoid

Explanation: Depression of mandible is caused by lateral pterygoid (main), digastric, geniohyoid & mylohyoid.
Elevation of mandible by temporalis, medial pterygoid & masseter.